Thalidomide is used in ?
1. Mutilple myeloma
2. Squamous cell carcinoma
3. Basal cell carcinoma
4. Masopharyngeal carcinoma

Correct answer: 1. Mutilple myeloma

Explanation: Ans. is 'a' i.e., Multiple myeloma Clinical uses of thalidomide AIDS related aphthous ulcers AIDS related wasting syndrome Multiple myeloma and other solid tumours Prevention of graft versus host disease after transplantation Rheumatoid arthritis Ankylosing spondylitis Crohn's disease and Bechet's syndrome Erythema Nodusum Leprosum